Estimated mean Hemoglobin (Hb) of 100 women is 10 g%. Standard deviation (σ) is 1gm %. Standard error of estimate will be –
1. 0.001
2. 1
3. 10
4. 0.1

Correct answer: 4. 0.1